Most common complication of both acute and chronic pancreatitis is
1. Portal vein thrombosis
2. Pancreatic abscess
3. Pseudocyst
4. Pancreatic necrosis

Correct answer: 3. Pseudocyst

Explanation: Complications of Acute pancreatitis Sterile and infected peripancreatic fluid collections Pancreatic necrosis and infected necrosis Pancreatic pseudocyst Pancreatic ascites Pancreaticopleural Fistulas Vascular complications Pancreaticocutaneous fistula Complications of chronic pancreatitis pseudocysts splenic vein thromboses biliary and duodenal obstruction biliary cirrhosis pancreatic cancer pancreatic diabetes Ref: Sabiston 20th edition Pgno :1535